Chlamydia trachomatis serovars D-K cause-
1. Arteriosclerosis
2. Trachoma
3. Lymphogranuloma venereum
4. Urethritis

Correct answer: 4. Urethritis